From lung to tissue 02 transported is:
1. 70%
2. 86%
3. 91%
4. 97%

Correct answer: 4. 97%

Explanation: About 97-99% 02 is transported from lung to tissue by haemoglobin and remaining 1-3% by plasma.Diffusion through the alveolar membrane is so efficient in the human lung that in most circumstances its hemoglobin becomes fully oxygen saturated by the time a red blood cell has traveled just one-third the length of the alveolar capillary. As such, uptake of alveolar oxygen is ordinarily limited by the amount of blood transiting the alveolar capillaries rather than how rapidly oxygen can diffuse across the membrane; thus, oxygen uptake from the lung is said to be "perfusion limited." Ref: Naureckas E.T., Solway J. (2012). Chapter 252. Disturbances of Respiratory Function. In D.L. Longo, A.S. Fauci, D.L. Kasper, S.L. Hauser, J.L. Jameson, J. Loscalzo (Eds), Harrison's Principles of Internal Medicine, 18e.